Which of the following is/are the side effect/s of using argon laser -
1. Hypopigmentation
2. Crusting
3. Keloid formation
4. All the above

Correct answer: 4. All the above

Explanation: argon gases causes all d side effects. REF:khurana,pg no 461